Grattage test is used for-
1. Tinea capitis
2. Lichen planus
3. Pemphigus vulgaris
4. Psoriasis

Correct answer: 4. Psoriasis

Explanation: Grattage test: scales in a psoriatic plaque can be accentuated by scraping with a glass slide. signe de la tache de bougie: characteristic coherence of scales as if one scratches a wax candle